Strain used for Melanin is
1. Oil red
2. Gomori methamine silver strain
3. Masson Fontana stain
4. PAS stain

Correct answer: 3. Masson Fontana stain

Explanation: Ref histopathology p150 Other stains for Melanin are schmorl's method and enzyme histochemical method called DOPA oxidase